Ketoconazole:
1. Antifungal agent
2. Antibacterial
3. Antiviral agent
4. Chemotherapeutic agent

Correct answer: 1. Antifungal agent